Mumps is caused by:
1. Orthomyxo virus
2. Paramyxo virus
3. Rheno virus
4. EB virus

Correct answer: 2. Paramyxo virus